CSF findings in Tubercular meningitis:
1. Decreased glucose, increased proteins, decreased lymphocytes
2. Increased glucose, decreased proteins, decreased lymphocytes
3. Increased glucose, increased proteins, increased lymphocytes
4. Decreased glucose, increased proteins, increased lymphocytes

Correct answer: 4. Decreased glucose, increased proteins, increased lymphocytes

Explanation: Ans. D: Decreased glucose, increased proteins, increased lymphocytes The typical CSF abnormalities in patients with TB meningitis are: Raised intracranial pressure Raised CSF protein (1-8 g/L) Lymphocytosis Low CSF glucose